Galactosemia commonly is due to deficiency of
1. Galactose-1 phosphate uridyl transferase
2. Galactose-1 phosphatase
3. Glucose-1 phosphatase
4. Glucose-6 phosphatase

Correct answer: 1. Galactose-1 phosphate uridyl transferase

Explanation: Galactose-1 phosphate uridyl transferase 
Galactosemia is due to deficiency of :

Galactose-1-phosphate uridyl transferase (most common and best known),
Galactokinase, and
UDP-Galactose-4-epimerase.